Non-residential foreign dental practitioners having
dental qualification are eligible to become ____________ members of IDA.
1. Director
2. Associate
3. Honorary
4. Affiliated

Correct answer: 4. Affiliated

Explanation: Affiliated member 
Non-residential foreign dental practitioners having dental qualification according to section 10 are eligible to become affiliated members, subject to the approval of the central council of the Indian dental association. All affiliated members will be attached only to the head office.
Direct members
Persons eligible for membership but who are not residing or practicing in the area of a local branch. These members shall be attached to a state branch or to the central headquarters.
Honorary members
Persons of high scientific or Literary attainment or persons who have rendered conspicuous services to the association or persons whose connections with the association may be deemed desirable and if willing to be made Honorary members are so elected according to the rules of the association.
Essentials of preventive and community dentistry 
Soben Peter 
5th edition